Which of the following is an example of a composite
material?
1. A filled resin
2. Colloidal silica
3. Gold alloy
4. Wax

Correct answer: 1. A filled resin